Pulpotomy is not indicated in-
1. Small pulp exposure since 1 hour
2. Pulp exposure in permanent tooth with open apex
3. Pulp exposure in permanent tooth with closed apex treated immediately after injury
4. Insufficient crown structure remaining

Correct answer: 1. Small pulp exposure since 1 hour

Explanation: If the patient is seen within an hour or two after the injury, if the vital exposure is small, and if  suﬃcient crown remains to retain a temporary restoration to support the capping material and  prevent the ingress of oral ﬂuids, the treatment of choice is direct pulp capping.
 If the pulp exposure in  a traumatized, immature permanent (open apex) tooth is large, if even a small pulp exposure exists  and the patient did not seek treatment until several hours or days after the injury, or if there is  insuﬃcient crown remaining to hold a temporary restoration, the immediate treatment of choice is a  shallow pulpotomy or a conventional pulpotomy. 
A shallow or partial pulpotomy is preferable if  coronal pulp inﬂammation is not widespread and if a deeper access opening is not needed to help  retain the coronal restoration.
 Pulpotomy is also indicated for immature permanent teeth if necrotic  pulp tissue is evident at the exposure site with inﬂammation of the underlying coronal tissue, but a  conventional or cervical pulpotomy would be required. 
Yet another indication is trauma to a more  mature permanent (closed apex) tooth that has caused both a pulp exposure and a root fracture. In  addition, a shallow pulpotomy may be the treatment of choice for a complicated fracture of a tooth  with a closed apex when deﬁnitive treatment can be provided soon after the injury.